The Most Common Type of Carcinoma of urinary bladder
1. Squamous cell Carcinoma
2. Transitional cell Carcinoma
3. Adenocarcinoma
4. Mixed cell carcinoma

Correct answer: 2. Transitional cell Carcinoma

Explanation: (B) Transitional cell Carcinoma # Bladder cancer refers to any of several types of malignant growths of the urinary bladder. It is a disease in which abnormal cells multiply without control in the bladder. The bladder is a hollow, muscular organ that stores urine; it is located in the pelvis. The most common type of bladder cancer begins in cells lining the inside of the bladder and is called urothelial cell or transitional cell carcinoma (UCC or TCC).> Signs and symptoms Bladder cancer characteristically causes blood in the urine, this may be visible to the naked eye (frank haematuria) or detectable only be microscope (microscopic haematuria). Other possible symptoms include pain during urination, frequent urination or feeling the need to urinate without results These signs and symptoms are not specific to bladder cancer, and are also caused by non-cancerous conditions, including prostate infections and cystitis.> Risk factors: Carcinogens such as benzidine Drugs such as cyclophosphamide and phenacetin are known to predispose to bladder TCC.> Genetics: Genes which may be altered in bladder cancer include FGFR3, HRAS, RB1 and TP53